Features of lichen planus are
1. Pruritis
2. Purple color
3. Papule
4. All

Correct answer: 4. All

Explanation: A i.e. Pruritus, B i.e. Purple, C i.e. Papule